Multiple myeloma-all are true except?
1. Proteinuria
2. Visual disturbance
3. Bleeding
4. Dystrophic calcification

Correct answer: 4. Dystrophic calcification

Explanation: Ans. (d) Dystrophic calcification(Ref: R 9th/pg 598-602)Calcification in multiple myeloma is due to hypercalcemia (metastatic calcification) and not dystrophic calcification.